Which one of the following is not a mydriatic?
1. Pilocarpin
2. Atropine
3. Homatropine
4. Tropicamide

Correct answer: 1. Pilocarpin

Explanation: Pilocarpin is a miotic by acting on iris sphincter muscle. Pilocarpine is a parasympathomimetic drug. It is a non-selective muscarinic receptor agonist in the parasympathetic nervous system, which acts at the muscarinic acetyl choline receptor M3. It also acts on ciliary muscles to open up trabecular meshwork, hence increase the drainage of aqueous humor, thus decreasing the intraocular pressure. So it is useful in glaucoma also. Atropine, homatropine, tropicamide are mydriatics.